Right axis deviation is seen in:
1. Lying down position
2. Thin and tall
3. Obese person
4. At the end of peak expiration

Correct answer: 2. Thin and tall

Explanation: Ans. b. Thin and tall Axis d.eviation in ECG Left Axis Deviation Physiological: Obesitydeg Pregnancydeg Lying down position Pathological: Inferior wall MP Left anterior hemiblockdeg Pacing from the apex of the right or left ventricle Ventricular tachycardia from focus in the apex of the left ventricle Emphysemadeg Wolf-Parkinson-White syndrome (when pre-excitation is due to a right lateral or right posterolateral bypass tract)deg Right Axis Deviation Physiological: Lean and thindeg Pathological: Anterolateral MIdeg Left posterior hemiblockdeg Right ventricular dominancedeg Wolf-Parkinson-White syndrome (When pre-excitation is due to a left lateral or left posterolateral bypass tract)deg